Benedict test is for
1. Bile salts in urine
2. Bile pigment in urine
3. Reducing sugar in urine
4. Ketone bodies in urine

Correct answer: 3. Reducing sugar in urine

Explanation: It is commonly employed to detect the presence of glucose in urine. Benedict's reagent contains sodium carbonate, copper sulfate, and sodium citrate. In alkalain medium, sugars form enediol, cupric ions are reduced, correspondingly sugar is oxidized. Glucose is a reducing sugar. Any sugar with free aldehyde/keto group will reduce Benedict's reagent.Ref: DM Vasudevan, 7th edition, page no: 73